Role of selenocystein is important in -
1. Hydroxylation of dopamine
2. Oxidation of drugs
3. Antioxidant mechanism
4. None of the above

Correct answer: 3. Antioxidant mechanism

Explanation: Ans. is 'c' i.e., Antioxidant mechanism o Selenocysteine is considered to 21st standard amino acid.o It is present at the active site of many enzymesGlutathione peroxidase - An antioxidant enzyme.Deiodinase - Converts T4 to T3iii) Thioredoxin reductase.Glycine reductase.Formate dehydrogenaseo Selenocysteine has a structure similar in cystein, but containing selenium in place of sulfur atom of cysteine,o Proteins that contain selenocystein residues are called selenoproteins.